A term newborn presents with frothing, excessive drooling of saliva, coughing of saliva. There was history of polyhydramnios in antenatal period. There is difficulty in passing a  nasogastric tube. What is the probable diagnosis?
1. Diaphragmatic hernia
2. Choanal atresia
3. Gastroschisis
4. Tracheo-esophageal fistula

Correct answer: 4. Tracheo-esophageal fistula

Explanation: Tracheo-esophageal fistula :

Newborn presents with frothing, excessive salivation.
Associated with polyhydramnios in antenatal period.
Nasogastric tube is inserted and inability to pass it confirms the diagnosis of TEF.